All are true about Rotator cuff syndrome except:
1. Fracture
2. Weakness
3. Tendinitis
4. Rupture

Correct answer: 1. Fracture

Explanation: Ans: (Fracture) Ref: Apley's System of Orthopedics and Fractures, 9th ed, pg 341.Explanation:The most common cause of pain around the shoulder is a disorder of the rotator cuff.This is sometimes referred to rather loosely as 'rotator cuff syndrome'It comprises at least four conditions with distinct clinical features and natural history:Supraspinatus impingement syndrome and tendinitisTears of the rotator cuffAcute calcific tendinitisBiceps tendinitis and/or rupture.Clinical FeaturesThree patterns are encountered:Subacute tendinitis - the painful arc syndrome \ due to vascular congestion, microscopic haemorrhage and oedema.Chronic tendinitis - Recurrent shoulder pain due to tendinitis and fibrosis.Cuff disruption - Recurrent pain, weakness and loss of movement due to tears in the rotator cuff.